Cystic supratentorial tumor is?
1. Craniopharyngioma
2. Ependymoma
3. Medulloblastoma
4. None of the above

Correct answer: 1. Craniopharyngioma

Explanation: Ans. is 'a' i.e. Craniopharyngioma * Craniopharyngioma is supratentorial slow growing cystic tumor.Other options* Ependymoma can both supra and infratentorial.* Medulloblastoma is an infratentorial tumor.